Hyperglycemia is associated with?
1. Osteosarcoma
2. Chondroblastoma
3. Chondrosarcoma
4. Osteoma

Correct answer: 3. Chondrosarcoma

Explanation: Ans. (c) Chondrosarcoma(Ref: Cancer 42:603-610, 1978; Hypoglycemia as Paraneoplastic syndrome in some tumors: Mesenchymal tumors, sarcomas, adrenal, hepatic, gastrointestinal, kidney, prostate, Cervix (small-cell carcinoma)The first association of hyperglycemia was made by Glicksman and Rawson who noted a 25% incidence of "diabetes" in patients with sarcomas of bone. Marcove and Francis found hyperglycemia in 85% of their chondrosarcoma patient, and Turner and Horne reported similar abnormalities associated with fibrosarcoma